According to American diabetes association, HbAlc levels in diabetes patients under control are
1. 4-6mg/dl
2. <7mg/dl
3. 8mg/dl
4. >8gmd/dl

Correct answer: 2. <7mg/dl